An 18 year old boy comes to the eye casuality with history of injury with a tennis ball. On examination there is no perforation but there is hyphaema. The most likely source of the blood is -
1. Iris vessels
2. Circulus iridis major
3. Circulus iridis minor
4. Short posterior ciliary vessels

Correct answer: 2. Circulus iridis major

Explanation: When a blunt object strikes the front of the eye, the eye is quickly shortened in antero-posterior direction and, in a compensating fashion, is stretched laterally. This stretching causes breakage of iris vessels, with blood spilling into the anterior and posterior chamber. The most common source of blood is circulus iridis major.